Which among the following disease is transmitted by virus:
1. Molluscum contagiosum
2. Taenia capitis
3. Rhinosporodiosis
4. Impetigo

Correct answer: 1. Molluscum contagiosum

Explanation: * Contagiosum is a viral infection of skin which is caused by a virus, the moluscum contagiosum virus from pox virus family.* The virus is contagious through direct contact.* The virus also can be spread by sexual contact and can occur in people with compromised immune systems.